A 2-year-old boy presents with pain in his groin that has been increasing in nature over the past few weeks. He is found to have a degenerative malformation of the transversalis fascia during development. Which of the following structures on the anterior abdominal wall is likely defective
1. Superficial inguinal ring
2. Deep inguinal ring
3. Inguinal ligament
4. Sac of a direct inguinal hernia

Correct answer: 2. Deep inguinal ring

Explanation: Deep inguinal ring lies in the transversalis fascia, just lateral to the inferior epigastric vessels. Superficial inguinal ring is in the aponeurosis of the external oblique muscle. Inguinal ligament and the anterior wall of the inguinal canal are formed by the aponeurosis of the external oblique muscle. The sac of a direct inguinal hernia is formed by the peritoneum.